Subfertility is seen most likely in
1. Pedunculated leiomyoma
2. Subserosal leiomyoma
3. Submucosal leiomyoma
4. Cervical leiomyoma

Correct answer: 3. Submucosal leiomyoma

Explanation: Of myoma, subfertility is more closely associated with submucous leiomyoma.